X-ray changes in acromegaly are all except:
1. Lengthened terminal phalanx
2. Widened joint spaces
3. Obtuse angle of mandible and lengthening of mandible
4. Premature osteoarthritis

Correct answer: 1. Lengthened terminal phalanx

Explanation: Ans. Lengthened terminal phalanx